Helitrope rash is seen in -
1. Psoriasis
2. Dermatomyositis
3. DLE
4. Pemphigus

Correct answer: 2. Dermatomyositis

Explanation: Ans. is 'b' i.e., Dermatomyositis Cutaneous signs of dermatomvosits1. Gottron's papules: - lilac or violaceous papules on knuckle, dorsa of hands.2 Gottron's sign : - Violaceous erythema with edema over shoulder, arms, forearms.Heliotrope sign : - Violaceous erythema with edema over eyelids, periorbital region.Poikiloderma : - Atrophy of skin, hypopigmentaion, dilated blood vessels over trunk.Mechanic hand : - Symmetric hyperkeratosis along ulnar aspect of thumb and radial aspect of fingers.Shawl Sign : - Violaceous erythema extending from dorsolateral aspect of hands, forearms, and arms to shoulder & neck.Calcinosis cutis : - Calcium deposits in skin (in Juvenile variant).Miscellaneous signs : - Photosensitivity, vasculitis, panniculitis, Nail-fold telangiectasia.Extracutaneous involvement1. Proximal myositis3) Raynaud's phenomenon2 Cardiomyopathy4) Arthralgia